True about subendocardial hemorrhage is all except
1. May be seen after head injury
2. Involves RV wall
3. Continous pattern of sheet like
4. Flame shaped hemorrhages

Correct answer: 2. Involves RV wall

Explanation: Subendocardial hemorrhages (SEH) occur after cardiac injuries and resuscitation as well as secondary to noncardiac injuries comprising head injuries, infectious diseases, intoxications, hemorrhagic diathesis, abdominal trauma, asthma, and hypovolemic shock. In particular, the common incidence of SEH in intracranial lesions led to the suggestion that the phenomenon is mediated by the autonomic nervous system hypersecretion of catecholamines Ramdas Nayak page no. 303